Which of the following stage of Breast Ca corresponds with following feature? Breast mass of 6 x 3 cm. size Ipsilateral supraclavicular lymph node Distant metastasis cannot be assessed
1. T4 N3 MX
2. T4 N1 M1
3. T4 N0 M0
4. T3 N3c MX

Correct answer: 4. T3 N3c MX

Explanation: According to TNM staging system for breast cancer, T3: Tumor >5 cm in greatest dimension N3c: Metastasis in ipsilateral supraclavicular lymph node(s) MX: Distant metastasis cannot be assessed Ref: Hunt K.K., Newman L.A., Copeland E.M., Bland K.I. (2010). Chapter 17. The Breast. In F.C. Brunicardi, D.K. Andersen, T.R. Billiar, D.L. Dunn, J.G. Hunter, J.B. Matthews, R.E. Pollock (Eds), Schwartz's Principles of Surgery, 9e.